Angular vein infection causes thrombosis in:
1. Cavernous sinus
2. Suprasaggital sinus
3. Transverse sinus
4. Inferior petrosal sinus

Correct answer: 1. Cavernous sinus

Explanation: Ans. A Cavernous sinusRef: Gray's Anatomy, 40th ed. Ch; 29* The upper most segment of the facial vein, above its junction with the superior labial vein, is also called the angular vein.* Any infection of the mouth or face can spread via the angular veins to the cavernous sinuses resulting in thrombosis.